Ring sequestrum is seen in -
1. Typhoid osteomyelitis
2. Chronic osteomyelitis
3. Amputation stump
4. Tuberculosis osteomyelitis

Correct answer: 3. Amputation stump

Explanation: Excessive periosteal stripping during amputation may result in ring sequestrum in amputation stump.